Nerve commonly involved in fracture distal shaft of the Humerus is:
1. Radial
2. Medial
3. Ulnar
4. Circumflex brachial nerve

Correct answer: 1. Radial

Explanation: Ref: Shao YC, Harwood P. Grotz MR, Limb D, Giannoudis PV. Radial nerve palsy associated with fractures of the shaft of the humerus: a systematic review.Pone Joint Surg Br. 2005 Dec;87(12):1647-52. & Wheeless' Textbook of Orthopaedics.Explanation:"Fractures of the middle and middle-distal pans of the shaft had a significantly higher association with radial nerve palsy"Palsy Associated with Distal Third Fracture of humerusRadial nerve may be injured by fractures is at junction of mid and distal thirds of humeral shaft, esp if there is lateral displacement of distal fragmentThe radial nerve emerges from spiral groove at this location & is tethered as it pierces the intermuscular septumNerve cannot yield to lateral displacement of distal fragment and therefore may be subject to neuropraxia.